All of the following amino acids are converted to succinyl-CoA, except
1. Methionine
2. Isoleucine
3. Valine
4. Histidine

Correct answer: 4. Histidine

Explanation: Valine, isoleucine, and methionine are converted to succinyl CoA, whereas histidine is converted to alpha-ketoglutarate and both are involved in the TCA cycle.